The laser procedure, most often used for treating iris neovascularization is –
1. Goniophotocoagulation
2. Laser trabeculoplasty
3. Panretinal photocoagulation (PRP)
4. Laser iridoplasty

Correct answer: 3. Panretinal photocoagulation (PRP)

Explanation: Treatment of choice for rubeosis iridis is panretinal photocogulation.